Contractile dysfuncation seen in which type of cardiomyopathy?
1. Dilated cardiomyopathy
2. Restrcited cardiomyopathy
3. Hypertrophic cardiomyopathy
4. Infiltrative cardiomyopathy

Correct answer: 1. Dilated cardiomyopathy

Explanation: Dilated cardiomyopathy (DCM) is characterized by progressive cardiac dilation and contractile (systolic) dysfunction, usually with concurrent hypertrophy; regardless of cause, the clinicopathologic patterns are similar. DCM results in systolic (contractile) dysfunction. Causes include myocarditis, toxic exposures (e.g., alcohol), and pregnancy. In 20% to 50% of cases, mutations affecting cytoskeletal proteins are responsible. Ref Harrison 20th edition pg 1445